The blood supply of Anterior Cruciate Ligament (ACL) is primarily derived from:
1. Superior medial genicular artery
2. Descending genicular artery
3. Middle genicular artery
4. Circumflex fibular artery

Correct answer: 3. Middle genicular artery

Explanation: The primary blood supply to the Anterior cruciate ligament comes from the middle genicular artery which pierces the posterior capsule and enters the intercondylar notch near the femoral attachment. Ref: Campbell's Operative Orthopaedics, 11th Edition, Page 2497;Operative Arthroscopy, 3rd Edition, Pages 67, 68; Current Concepts in ACL Reconstruction By Freddie Fu, 2008, Chapter 2, Page 28